All of the following have defects in clotting mechanism EXCEPT:
1. Christmas disease
2. Von Willebrand disease
3. Patients on brufen
4. Thalassemia

Correct answer: 4. Thalassemia

Explanation: Von Willebrand Disease
Von Willebrand disease is a bleeding disorder, characterized by excess bleeding even with a mild injury. It is due to deficiency of von Willebrand factor, which is protein secreted by endothelium of damaged blood vessels and platelets. This protein is responsible for adherence of platelets to endothelium of blood vessels during hemostasis after an injury. It is also responsible for the survival and maintenance of factor VIII in plasma. Deficiency of von Willebrand factor suppresses platelet adhesion. It also causes deficiency of factor VIII. This results in excess bleeding, which resembles the bleeding that occurs during platelet dysfunction or hemophilia
Hemoglobin in Thalassemia and Related Disorders
In thalassemia, different types of abnormal hemoglobins are present. The polypeptide chains are decreased, absent or abnormal. In α-thalassemia, the α-chains are decreased, absent or abnormal  and in β-thalassemia, the β chains are decreased, absent or abnormal. Some of the abnormal hemoglobins found in thalassemia are hemoglobin.
Ibuprofen is an NSAID and has antiplatelet action.